In cervical cancer surgery is limited to patients with
1. Stage I to IIA
2. Stage I to IIB
3. Stage I to IIIA
4. Stage I to IIIB

Correct answer: 1. Stage I to IIA

Explanation: Radiation therapy can be used in all stages of disease, but surgery is limited to patients with stage I to IIa disease. The 5-year survival rate for stage I cancer of the cervix is approximately 85% with either radiation therapy or radical hysterectomy. Reference: Novak's gynaecology; 14th edition; Chapter 35; Uterine cancer